Diseases caused by coxsackievirus are all except:
1. Herpangina
2. Hand foot and mouth disease
3. Acute lymphonodular pharyngitis
4. Herpes

Correct answer: 4. Herpes

Explanation: In oral cavity CV causes:

Herpangina
Hand foot and mouth disease
Acute lymphonodular pharyngitis.